The intracytoplasmic vacuoles seen in the Armmani Epstein cell are rich in -
1. Na and K
2. Glycogen
3. Lipids
4. None of the above

Correct answer: 2. Glycogen